Which of the following does not belong to gestational trophoblastic tumour
1. Chorioangioma
2. Placental site trophoblastic tumour
3. Choriocarcinoma
4. Hydatidiform mole

Correct answer: 1. Chorioangioma

Explanation: Gestational trophoblastic diseases include : Hydatiform mole Invasive mole Placental site trophoblastic tumor Choriocarcinoma Ref: Dutta Obs 9e pg 180.